Putrefaction is facilitated by following except:
1. Very high temp
2. Free air
3. Damp environment
4. Shallow grave

Correct answer: 1. Very high temp

Explanation: A i.e. Very high temperature - In females ovaries & non gravid uterusQ; and in males prostate & testisQ putrify very late only preceeded by skin, muscle, tendon & bone which are last organ to putrify. (in the same order) - Due to involution of gases, the liver becomes spongy in W. putrefaction and it is k/a Foamy or Swiss cheese or Honey combed liverQ - Greenish discolouration of flank over cecum i.e. right iliac fossaQ, which appears in about 12-24 hoursQ (6 hours in summer & > 24 hours in winter) is first external sign of putrefaction (decomposition). - In females ovaries & non gravid uterusQ; and in males prostate & testisQ putrify very late only preceeded by skin, niuscle, tendon & bone which are last organ to putrify. (in the same order) Casper's dictum relates to the rate of putrefaction of a dead body and helps in estimation of time since death. Putrefaction is arrested below 0degC & above 48degCQ as the activity of microorganism stops. Putrefaction is facilitated by free access of air, moisture & optimum temperature (10degC-450C), so decomposition is fast in shallow damp, marshy gravesQ in bodies without clothes & coffin.